AFP is raised in-
1. Yolk sac tumor
2. Seminoma
3. Teratoma
4. Choriocarcinoma

Correct answer: 1. Yolk sac tumor

Explanation: Harshmohan textbook of pathology 7th edition. *seminoma malignant tumor of testes-it is associated with elevated hCG level in blood. *choriocarcinoma- hCG level increases in blood. *yolk sac tumor/endodermal sinus tumor -alphafetoprotien increases.